Two strands of the DNA are joined by:
1. Glycosidic bond
2. Hydrogen bond
3. Covalent bond
4. Ionic bond

Correct answer: 2. Hydrogen bond

Explanation: Ans. B. Hydrogen bondBonds in the DNABetween nucleotides- 3' to 5' Phosphodiester bondBetween the DNA Hydrogen bondBetween base and Sugar beta N Glycosidic bond, Nucleoside and Phosphate Ester bondBase stacking by van der Waals forces